The estrogen that is used in most combined hormonal contraceptives is:
1. Clomiphene
2. Ethinyl estradiol
3. Estrone
4. Norgestrel

Correct answer: 2. Ethinyl estradiol

Explanation: -Most commonly used estrogen in OCPs is ethinyl estradiol. -Most commonly used progesterone in OCPs is levonorgestrel.